The stria of Gennari is a histological feature of
1. Motor speech area
2. Auditory area
3. Visual area
4. Prefrontal area

Correct answer: 3. Visual area

Explanation: Variations in Cortical Structure -The structure of the cerebral cortex shows considerable variation from region to region, both in terms of thickness and in the prominence of the various laminae described above. Finer variations form the basis of the subdivisions into Brodmann's areas. Other workers divide the cortex into five broad varieties. These are as follows. In the agranular cortex the external and internal granular laminae are inconspicuous. This type of cortex is seen most typically in the precentral gyrus (area 4) and is, therefore, believed to be typical of 'motor' areas. It is also seen in some other areas. In the granular cortex the granular layers are highly developed while the pyramidal and ganglionic layers are poorly developed or absent. In the visual area the external band of Baillarger is prominent and forms a white line that can be seen with the naked eye when the region is freshly cut across. This stria of Gennari gives the name striate cortex to the visual cortex. Between the two extremes represented by the agranular and granular varieties of cortex, three intermediate types are described as follows. Frontal cortex Parietal cortex and Polar cortex. The frontal type is nearest to the agranular cortex, the pyramidal cells being prominent, while the polar type is nearest to the granular cortex. REF: Inderbir Singh's Textbook of Human Histology, Seventh edition, pg.no., 190.